Declaration of Tokyo is related to?
1. Human experimentation
2. Torture
3. Euthanasia
4. Organ transplantation

Correct answer: 2. Torture

Explanation: Ans. (b) TortureRef. Ethics for doctors, Nurses and patients by H.P. Dunn P 37, World medical association website and various internet resources